Which of the following is an indication of Caesarean section after a previous caesarean section?
1. Hypertension
2. Type 1 placenta previa
3. CPD
4. Multigravida

Correct answer: 3. CPD

Explanation: Indications of C section after a previous caesarean section includes: contracted pelvis, previous two casesarean sections, features of scar dehiscence and previous classical caesarean section. Common indications of Caesarean section in a: Primigravidae are: CPD, fetal distress, dystocia. Multigravidae: Previous caesarean delivery, antepartum hemorrhage (placenta previa, placental abruption), and malpresentation. Ref: Textbook of Obstetrics By D.C Dutta, 6th edn, page 589